Person having heterozygous sickle cell trait is protected from infection of ?
1. Plasmodium falciparum
2. vivax
3. Pneumococcus
4. Salmonella

Correct answer: 1. Plasmodium falciparum

Explanation: Ans. is 'a' i.e., Plasmodium falciparum The possession of the sickle cell allele protects these individuals against malaria because the parasite dies when potassium leaks out of RBCs as they become sickle shaped. Types of anemia that have protective effect against P. falciparum malaria : - G6PD deficiency, Sickle cell anemia, Thalassemia, HbC, Pyruvate kinase deficiency Persons having heterozygous sickle cell trait are protected from plasmodium falciparum People who are heterozygous for the sickle cell trait (Hbs) become infected with plasmodium falciparum but they are less likely to die from infection. The Hbs trait causes the parasite to grow poorly or die because of the low oxygen concentration.